Terminal spined eggs are seen in:
1. Schistosoma haematobium
2. Sch. mansoni
3. Sch. Japonicum
4. Chlonorchis sinensis

Correct answer: 1. Schistosoma haematobium

Explanation: Ans. is 'a' i.e., Schistosoma haematobium (Ref: Chatterjee, 12th/e, p. 138)Schistosoma haematobium - has terminal spine QSchistosoma mansoni - Egg has lateral spine QSchistosoma japonicum - Egg has lateral knob Qs